Unfamiliarity of familiar things is seen in:
1. Deja vu
2. Jamais vu
3. Deja entendu
4. Deja pence

Correct answer: 2. Jamais vu

Explanation: Jamais vu refers to the feeling of unfamiliarity for familiar things. Deja vu refers to the feeling that an event which is being currently experienced has also happened in the past.